All are true about rifampicin except :
1. Microsomal enzyme inducer
2. Used in treatment of meningiococcal meningitis
3. May cause OCP failure
4. Bactericidal in nature

Correct answer: 2. Used in treatment of meningiococcal meningitis